Which of the following indicate secondary failure to respond in a child with severe malnutrition?
1. Failure to regain appetite by day 4
2. Presence of edema on day 10
3. Failure to gain at least 5g/kg/day for 3 consecutive days during the rehabilitation phase
4. Failure to gain at least 5 g/kg/day by day 10

Correct answer: 3. Failure to gain at least 5g/kg/day for 3 consecutive days during the rehabilitation phase

Explanation: Primary failure to respond is indicated by- Failure to regain appetite by day 4 Failure to start losing edema by day 4 Presence of edema on day 10 Failure to gain at least 5 g/kg/day by day 10 Secondary failure to respond is indicated by- Failure to gain at least 5g/kg/day for consecutive days during rehabilitation phase